Which of the following results in increase in secretion of ADH?
1. Hypervolemia
2. Hypertension
3. Hypovolemia
4. Decrease osmolarity

Correct answer: 3. Hypovolemia

Explanation: Ans: C HypovolemiaRef: Guyton 12th/e p. 9051Hypovolemia (Decreased ECF) stimulates the release of ADH.Vasopressin secretion is increased by: - i) Increased osmolarity (osmotic pressure) of plasma; ii) Decreased ECF volume; iii) Pain, emotion, stress, exercise; iv) Nausea and vomiting; v) Standing; vi) Clofibrate, Carbamazapine; vii) Angiotensin II.